Thoracic duct is also called as ?
1. Hensen's duct
2. Bernard's duct
3. Pecquet duct
4. Hoffman's duct

Correct answer: 3. Pecquet duct

Explanation: Ans. is 'c' i.e., Pecquet duct Thoracic duct is also known as pecquet duct, left lymphatic duct or Van Hoorne canal.